Egg in cup appearance is seen in
1. TGA
2. TAPVC
3. Constrictive pericarditis
4. TOF

Correct answer: 3. Constrictive pericarditis

Explanation: Egg in cup - Constrictive pericarditis
Egg on side - Uncorrected TGA